Which is more dangerous after a thyroidectomy resulting in acute respiratory distress
1. Damage to external laryngeal nerve
2. Unilateral complete damage to recurrent Laryngeal nerve
3. Unilateral partial damage to recurrent laryngeal nerve
4. Bilateral partial section of recurrent laryngeal nerve

Correct answer: 4. Bilateral partial section of recurrent laryngeal nerve